Intervillous space placenta contains howmuch blood -
1. 50 ml
2. 100 ml
3. 150 ml
4. 200 ml

Correct answer: 3. 150 ml

Explanation: Ans. is 'c' i.e., 50 mlVolume of blood in mature placenta500 ml Volume of blood in intervillous space 150 ml Blood flow in intervillous space500 - 600 ml/ minPressure in intervillous spaceDuring uterine contractionDuring uterine relaxation 30-50mmHg10-15mmHgPressure in the supplying uterine artery70-80 mmHgPressure in the draining uterine artery8 mmHg